True regarding lateral spinothalamic tract is:
1. Transmits contralateral touch
2. Transmits ipsilateral pain
3. Crosses brain at thalamus
4. Lower most fibres are lateral

Correct answer: 4. Lower most fibres are lateral

Explanation: (Refer: Ganong’s Review of Medical Physiology, 24th edition, pg no: 166-169)